Mallory's hyaline is seen in -
1. Hepatitis C infection
2. Amoebic liver abscess
3. Indian childhood cirrhosis
4. Autoimmune hepatitis

Correct answer: 3. Indian childhood cirrhosis